Neurosurgical treatment of epilepsy usually involves, removal of epileptic focus from which lobe ?
1. Frontal lobe
2. Temporal lobe
3. Occipital lobe
4. Parietal lobe

Correct answer: 2. Temporal lobe

Explanation: Ans. is 'b' i.e., Temporal lobe (most commonly)